Communicability is best measured by -
1. Serial Interval
2. Case fatality rate
3. Secondary attack rate
4. Generation time

Correct answer: 3. Secondary attack rate

Explanation: Ref:Parks 23rd edition pg 61, 100 SAR is defined as the number of exposed persons developing the disease within the range of the incubation period, following exposure to the primary case. Hence it shows the communicability